All of the following conditions are known to cause diabetes insipidus except-
1. Multiple sclerosis
2. Head injury
3. Histiocytosis
4. Viral encephalitis

Correct answer: 1. Multiple sclerosis

Explanation: Causes of Central Diabetes insipidus Causes of Nephrogenic Diabetes insipidus Multiple sclerosis causes primary polydipsia ( Harrison 17 pg 2218 ) Ref image - pumed.com , researchgate.net